All of the following muscles have dual nerve supply, except:
1. Brachialis
2. Pectineus
3. Flexor digitorum supercialis
4. Flexor digitorum profundus

Correct answer: 3. Flexor digitorum supercialis

Explanation: Flexor digitorum supercialis is supplied by median nerve only.
Other options